Corpus f uteum activity is maintained by :
1. FSH
2. LH
3. Estrogen
4. Progesterone

Correct answer: 2. LH

Explanation: LH